Dryness of mouth caused by antipsychotic drug is caused by blockade of:
1. Muscarinic ACh receptors
2. GABA receptors
3. Serotonergic receptors
4. Dopaminergic receptors

Correct answer: 1. Muscarinic ACh receptors

Explanation: Xerostomia, commonly known as "dry mouth," is a reported side effect of >1,800 drugs from >80 classes. ... Among all reported side effects of antidepressants andantipsychotics, dry mouth often is the most prevalent complaint. For example, in a study of 5 antidepressants 35% to 46% of patients reported dry mouth. Ref KD Tripati 8th ed.